The name of the first documented child who was reported to be abused (in year 1874):
1. Mary Ellen
2. Henry
3. Cook
4. Toweson

Correct answer: 1. Mary Ellen

Explanation: The first documented and reported case of child abuse occurred in 1874. A child named Mary Ellen was discovered chained to her bedpost. She was beaten regularly and was found to be severely malnourished. A New York City Church group reported the situation to the police.